Kuttner Tumour is a lesion of following gland
1. Lymph gland
2. Salivary gland
3. Sebaceous gland
4. Thymus gland

Correct answer: 2. Salivary gland

Explanation: • Kuttner tumor is also called as Chronic sclerosing sialadenitis
• Benign inflammatory lesion (fibro inflammatory)
• Associated with submandibular glands in most of the cases.
• Is basically a chronic inflammatory disease of salivary glands.
• Positive for cytokeratin CK 7, 8, 13, 19.